Alpha 1 antitrypsin deficiency mechanism of transmission -
1. Autosomal recessive
2. Autosomal dominant
3. X linked recessive
4. X linked dominant

Correct answer: 1. Autosomal recessive

Explanation: Ans. is 'a' i.e., Autosomal recessiveAutosomal recessive disordersMetabolicHematologicalEndocrineSkeletalNarvouso Cystic fibrosiso Phenylketonuriao Galactosemiao Homocystinuriao Lysosomal storage diso a1-antitrypsin deficiencyo Wilson diseaseo Hemochromatosiso Glycogen storage disorderso Sickle cell anemiao Thalassemiaso Congenital adrenal hyperplasiao Albinismo EDS (some variants)o Alkaptonuriao Friedreich ataxiao Spinal muscular atrophyo Neurogenic muscular atrophies